Stress incontinence is repaired by ..... repair :
1. Manchester
2. Fothergill's
3. Marshall Marchatti Krantz
4. Bonney's

Correct answer: 3. Marshall Marchatti Krantz

Explanation: Marshall Marchatti Krantz